In Alzheimer's disease which area of brain is involved
1. Cerebral cortex
2. Hippocampus
3. Cerebellum
4. A+ B

Correct answer: 4. A+ B

Explanation: *It is the accumulation of brain beta amyloid peptide in cerebral cortex,hippocampus,basal ganglia, thalamus and even cerebellum. Alzheimer's disease typically destroys neurons and their connections in parts of the brain involved in memory, including the entorhinal cortex and hippocampus. It later affects areas in the cerebral cortex responsible for language, reasoning, and social behavior. Ultimately, the disease is fatal. Ref Harrison20th edition pg 2767